A forceps delivered premature baby develops fever, abnormal behavior, bulging fontanelle 5 days after birth. What is the likely causative organism?
1. Neisseria meningitidis
2. Listeria monocytogenes
3. Staph aureus
4. Pneumococcus

Correct answer: 2. Listeria monocytogenes

Explanation: Given scenario suggests diagnosis of Meningitis Neonatal Listeriosis 2 clinical presentations are recognized: EARLY ONSET (<5 DAYS ) LATE ONSET (>=5 DAYS) Positive result of maternal Listeria culture Obstetric complications Premature delivery Low birthweight Neonatal sepsis Negative result of maternal Listeria Culture Uncomplicated pregnancy Term delivery Normal birthweight Neonatal meningitis